Measles is infectious during –
1. After 4 days of rash
2. 4 days before and 5 days after rash
3. Throughout disease
4. Only in incubation period

Correct answer: 2. 4 days before and 5 days after rash

Explanation: Period of communicability for measles is 4 days before and 5 days after appearance of rash.